Deep anterior chamber is seen in:
1. Aphakia
2. Hypermature cataract
3. Keratoconus
4. All of these

Correct answer: 4. All of these

Explanation: Ans: d (All of the above) Ref: Khurana, 4th ed, p. 37, 119, 177Normal depth of the AC is 2.5 mm in the centerShallow anterior chamberDeep anterior chamberPrimary narrow angle glaucomaAphakiaHypermetropiaTotal posterior synachiaePost operative shallow ACMyopiaMalignant glaucomaKeratoglobusAnterior perforationKeratoconusAnterior subluxation of lensBuphthalmosIntumescent lensAnterior dislocation of lensIrregular anterior chamberAdherent glaucomaIris bombe due to anterior synachiaeTilting of lens in subluxationIn sclerotic type hypermature cataract due to the shrinkage of lens, anterior chamber becomes deep and iris becomes tremolous (iridodonesis).